In Raynaud's phenomenon which of the following change is seen in vessels in initial stage?
1. No change
2. Thrombosis
3. Fibrinoid necrosis
4. Hyaline sclerosis

Correct answer: 1. No change

Explanation: Raynaud phenomenon results from the exaggerated vasoconstriction of arteries and arterioles in the extremities, particularly in the fingers and toes. The restricted blood flow induces paroxysmal pallor or cyanosis; involved digits characteristically show " red-white -and-blue " color change most proximal to most distal Robbins 9 th edition page no. 355